One of the following features can be used to define contracted pelvis
1. Transverse diameter of inlet is 10 cm
2. AP diameter of inlet is 12 cm
3. Platypelloid pelvis
4. Gynaecoid pelvis

Correct answer: 1. Transverse diameter of inlet is 10 cm

Explanation: Minimal/Critical diameters of the Pelvis: If any of the following diameter is less than critical diameter, Pelvis is said to be contracted